Black foot disease is seen in?
1. Arsenic
2. Lead
3. Mercury
4. Thallium

Correct answer: 1. Arsenic